Which of the following antiepileptic drugs can cause hirsutism in a 30 year old woman?
1. Phenytoin
2. Carbamazepine
3. Valproate
4. Ethosuximide

Correct answer: 1. Phenytoin

Explanation: ADVERSE EFFECT OF PHENYTOIN: H - Hirsutism , Hypertrophy of gums O - Osteomalacia T - Teratogenicity M - Megaloblastic anemia A - Ataxia and nystagmus L - Lymphadenopathy I - Inhibits insulin release (hyperglycemia) K - Vitamin K deficiency A - Arrhythmias